Boys over 16 years who are too difficult to be handled in a certified school or misbehaved, they are sent to a
1. Remand home
2. Foster home
3. Borstal
4. None of the above

Correct answer: 3. Borstal

Explanation: OrphanagesChildren who have no home or who for some reason could not be cared for by their parentsThere in little opportunity for the child to experience the warmth and intimacy of life, to develop emotional security and to participate in activities.Foster homesIs an arrangement whereby a child lives, usually on a temporary basis, with an extended or unrelated family member.It ensures that the birth parents do not lose any of their parental rights or responsibilities This arrangement cater to children who are not legally free for adoption and whose parents are unable to care for them due to illness, death or desertion by one parent.AdoptionTemporary replacement of children in foster homes, children are legally adopted Legal adoption confers upon the child and adoptive parents, rights and responsibilities.BorstalsBoys over 16 years who are too difficult to be handled in a certified school or misbehaved, they are sent to a borstalsA Borstal sentence which is usually for three years is regarded as a method of training and reformationRemand homeHere, the child is placed under the care of doctors, psychiatrists, and other trained personnelElementary schooling is given, various arts and crafts are taught,games are played and other recreational activities are arranged(Refer: K. Park's Textbook of Preventive and Social Medicine, 24th edition, pg no: 626)